Bloomers shelf is:
1. Peritoneal mets palpable per rectal
2. Supraclavicular lymph nodes
3. Axillary lymphnodes
4. Ovarian mass

Correct answer: 1. Peritoneal mets palpable per rectal

Explanation: Ans) a (Peritoneal mets...) Ref: Bailey 25thThe anterior surface of proximal 1 /3rd of rectum is covered by visceral peritoneum. The peritoneal reflection is 7 to 9 cm from the anal verge in men and 5 to 7.5 cm in women. This anterior peritonealised space is so called the pouch of douglas or the pelvic cul de sac & may serve as the site of so called drop metastasis from visceral tumors. These peritoneal metastasis can form a mass in the cu led sac called Bloomers shelf & can be detected by per rectal examination.Sister Mary Joseph's nodules- Umblical deposits in visceral tumors.